All drugs cause interstitial lung disease, except :
1. Phenytoin sodium
2. Sulfonamide
3. Busulfan
4. Alpha methyldopa

Correct answer: 4. Alpha methyldopa

Explanation: Drugs causing interstitial lung disease are:

Amiodarone
Nitrosoureas
Busulfan
Phenytoin
Methotrexate
Sulfonamides
Penicillamine
Cyclophosphamide
Nitrofurantoin
Gold salts
Bleomycin